Pregnant lady's hanging in postponed by high court, it comes under which CrPC -
1. 416
2. 417
3. 300
4. 312

Correct answer: 1. 416

Explanation: S.312 causing miscarriage, if woman is quick with child. S.300 defines d offense of murder & also states the 5 xceptions when culpable homicide is not murder. Ref:Textbook of forensic medicine & Toxicology, (V.V.Pillai) pg no-14,16th edition.